Most common site for endometriosis in urinary system is
1. Kidney
2. Ureter - lower segment
3. Bladder
4. Ureter - upper segment

Correct answer: 3. Bladder

Explanation: Bladder is most common site for urinary endometriosis.